Which of the following is most appropriate cause of urinary stone formation?
1. High urinary oxalate
2. Low urinary Mg
3. Low urinary sodium
4. High urinary chloride

Correct answer: 1. High urinary oxalate